True about Rh factor is
1. There are no natural anti-Rh antibodies in serum
2. Seen only in females
3. Approximately 15 % of Indians are Rh positive
4. D is the least powerful Rh antigen

Correct answer: 1. There are no natural anti-Rh antibodies in serum

Explanation: There are no natural anti-Rh antibodies in serum Approximately 15% of the population lacks this antigen D- is the most immuno-genic Rh antigen